Most effective treatment of Severe Depression is by
1. Antidepressants
2. ECT
3. Behavior therapy
4. Psychotherapy

Correct answer: 2. ECT

Explanation: (B) ECT > Treatment of depression: : The most effective intervention for achieving remission and preventing relapse is medication, but combined treatment, incorporating Psychotherapy to help the patient cope with decreased self esteem and demoralization improves outcome.> In severe depression: The patient presenting as suicide/suicidal attempted/or agitation, depressive patient may come to casualty because of a refusal to eat and drink, leading to dehydration or because of refusal to take medication (E.g. Hopelessness).> ECT is at least as effective as medication, but its use is reserved for treatment-resistant cases and delusional depressions.> Severe Depression: Apart from presenting as suicide/ suicidal atemptand / or agitation, the depressive patient may come to casualty because of a refusal to eat and drink, leading to dehydration or because of refusal to take medication (e.g. hopelessness)> Behavior therapy is a type of psychotherapy (broadly defined) which is based on theories of learning, and aims at changing the maladaptive behavior and substituting it with adaptive behavior.> Although, there are many theories of learning, a majority of behavior therapy techniques are based on operant conditioning model (Skinner) and classical conditioning model (Pavlov).> Many of the ideas actually seem like common sense principles. The learning theories assume that all behavior is 'learned behavior'. The behavior that is followed by a reward is more likely to occur again (operant model), and that behavior is learned more easily if taught in small steps.> Behavior therapy is typically a short duration therapy, therapists are easy to train and it is cost-effective. The total duration of therapy is usually 6-8 weeks. Initial sessions are given daily but the later sessions are more spaced out.> A behavioral analysis is usually carried out before planning behavior therapy. One of the simplest methods of behavior analysis is called as ABC charting, i.e. a close look at the:> Antecedents (e.g. circumstances under whichthe behavior began; who, if any, were present;other details),> Behavior (description of the behavior indetail), and> Consequences (what happened afterwards;what factors helped to maintain the behavior).